Esophagus enters through
1. Central tendon of diaphragm
2. Along aortic opening
3. Muscular part of diaphragm
4. All

Correct answer: 3. Muscular part of diaphragm

Explanation: C. i.e. Muscular part of diaphragm